The most toxic form of mercury is
1. Methyl and ethyl mercury
2. Mercury vapour
3. Inorganic mercury forms
4. Mercury sulphide

Correct answer: 1. Methyl and ethyl mercury